Growth is generally completed
1. First in head and last in depth of face
2. First in head and last in width of face
3. First in head and Last in height of face
4. First in depth and Last in width of face

Correct answer: 3. First in head and Last in height of face